Dermatitis and alopecia may occur due to deficiency of
1. Magnesium
2. Zinc
3. Calcium
4. Molybdenum

Correct answer: 2. Zinc

Explanation: zinc is a trace element necessary for maintaining healthy skin , healing of wounds, growth,fetaal development and brain functions zinc deficiency acrodermatitis enteropathica- dermatitis around orifices, nonscarring alopecia, glossitis, diarrhoea.growth retardation. Ref Harrison20th edition pg 1345